All will predispose to atherosclerosis, except
1. Homocystinemia
2. Fibrinogen
3. Calcium
4. Lipoprotein A

Correct answer: 3. Calcium

Explanation: Elevated plasma levels of  homocysteine are associated with increased risk of atherosclerosis, thrombosis and hypertension.
Lipoprotein A inhibits fibrinolysis, therefore predisposes to atherosclerosis.
Atherosclerosis (Greek  athere-mush)  is a complex disease characterized by thickening or hardening of arteries due to the accumulation of lipids (particularly cholesterol, free, and esterified), collagen, fibrous tissue, proteoglycans, calcium deposits, etc. in the inner arterial wall. 
Satyanarayana, Ed 3, Pg No 152